A 40-week-old infant can do all the following except:
1. Waves bye bye
2. Transfer object from one hand to another
3. Sits without support
4. Makes a tower of 3-4 cubes

Correct answer: 4. Makes a tower of 3-4 cubes

Explanation: d. Makes a tower of 3--4 cubes(Ref: Nelson's 20/e p 65-77, Ghai 8/e p 52-54)40 week old infant is around 10 months old; Tower of 3-4 cubes comes by around 18 months age.